Most common site of prostatic carcinoma
1. Anterior lobe
2. Median lobe
3. Posterior lobe
4. Central zone

Correct answer: 3. Posterior lobe

Explanation: Most prostate cancers are slow growing; however, some grow relatively quickly. The cancer cells may spread from the prostate to other parts of the body, particularly the bones and lymph nodes. It may initially cause no symptoms. ref - BDC vol2 6e pg 402